Most common cause of cataract is
1. Age related changes
2. Hereditary
3. Diabetes mellitus
4. Trauma induced

Correct answer: 1. Age related changes

Explanation: Most common cause of acquired cataract is senile cataract Refer: Khurana 6th edition page number 190